All of the following are included as causes of maternal death except -
1. Following abortion
2. During lactation 1 st month (Puerperal)
3. During lactation 8th month
4. During the last trimester due to APH

Correct answer: 3. During lactation 8th month

Explanation: Maternal mortality rate is total no.of female deaths due to complications of pregnancy,childbihor within 42 days of delivery from puerpeural causes.REF.PARK'S TEXTBOOK OF PREVENTIVE AND SOCIAL MEDICINE.Editon-21.Page no.-514